FADH2 enters the respiratory chain through which complex?
1. I
2. II
3. III
4. IV

Correct answer: 2. II

Explanation: In Complex II (succinate-Q reductase), FADH2 is formed during the conversion of succinate to fumarate in the citric acid cycle and electrons are then passed several Fe-S centers to Q. Reference: Harper; 30th edition; Page no: 128